Best treatment strategy for carcinoma anal canal:
1. Chemoradiation
2. Surgery
3. Radiation
4. Chemotherapy

Correct answer: 1. Chemoradiation

Explanation: Nowadays the primary treatment of choice is chemoradiotherapy (Combined modality therapy (CMT); Nigro Regimen), which usually includes 5-FU, Mitomycin-C and cisplatin Radical surgery is indicated in those with persistent or recurrent disease following CMT or Nigro Regimen.